Night blindness is due to
1. Vitamin A
2. Vitamin B1
3. Vitamin B12
4. Vitamin B6

Correct answer: 1. Vitamin A